Skeletal traction is given by the following except:
1. K-wire
2. Pavlik harness
3. Denham pin
4. Steinmann's pin

Correct answer: 2. Pavlik harness

Explanation: Pavlik harness is used in the management of DDH not for skeletal traction .